ZOE is made eugenol free by
1. Acetic Acid
2. Alginic Acid
3. Phosphoric Acid
4. Ortho-Ethoxy Acid

Correct answer: 4. Ortho-Ethoxy Acid